Structurally, heparin is :
1. Homopolysaccharide
2. Heteropolysaccharide
3. Glycoprotein
4. Mucoprotein

Correct answer: 2. Heteropolysaccharide